TRUE about arthropathy in hemochromatosis:
1. It usually occurs after age 50
2. Lower limb joints are first affected
3. Acute brief attacks usually affects shoulder joints
4. Arthropathy improves with phlebotomy

Correct answer: 1. It usually occurs after age 50

Explanation: Arthropathy develops in 25-50% of symptomatic hemochromatosis patients. MUST KNOW: It usually occurs after age of 50. The joints of the hands (the second and third metacarpophalangeal joint) are first affected. Acute brief attacks of synovitis may be associated with deposition of calcium pyrophosphate chondrocalcinosis or pseudogout), mainly in the knees. The arthropathy tends to progress despite removal of iron by phlebotomy. Ref: Harrison, Edition-18, Page-3164-5.